LEAST diagnostic test for breast tumours:
1. Chest X-ray
2. Biopsy
3. USG
4. Mammography

Correct answer: 1. Chest X-ray

Explanation: Ans. A i.e. Chest X-ray